Matrix vesicles
1. Are found in mantle dentin
2. Contain collagen
3. Produce alkaline phosphatase
4. Inhibit mineralization

Correct answer: 1. Are found in mantle dentin